Which of the following statement is wrong
1. Curling ulcers are caused by burns
2. Shock can produce ulcers
3. Central nervous system tumors can produce ulcers
4. Prostaglandin secretions can produce ulcers.

Correct answer: 4. Prostaglandin secretions can produce ulcers.

Explanation: Prostaglandins secretions protect gastric mucosa.
NSAIDs decrease prostaglandins thus they will cause ulcers